Horner Trantas dots are a very characteristic feature of:
1. Trachoma
2. Vernal keratoconjunctivitis
3. Phlyctenular conjunctivitis
4. Atopic keratoconjunctivitis

Correct answer: 2. Vernal keratoconjunctivitis

Explanation: Ans. B i.e. Vernal keratoconjunctivitis